A young asymptomatic female is observed to have a Midsystolic Click on routine examination. Valves are likely to show -
1. Myxomatous degeneration
2. Asohoff bodies
3. Calcific degeneration
4. Ruptured chordae tendinae

Correct answer: 1. Myxomatous degeneration

Explanation: MVP, also variously termed the systolic click-murmur syndrome, Barlow's syndrome, floppy-valve syndrome, and billowing mitral leaflet syndrome, is resulting from diverse pathologic mechanisms of the mitral valve apparatus. Among these are excessive or redundant mitral leaflet tissue, which is commonly associated with myxomatous degeneration and greatly increased concentrations of certain glycosaminoglycans. (Harrison's Principles of internal medicine, 18 th edition, page 1937 )